The pathological feature in Wegener's granulomatosis on renal biopsy
1. Nodular glomerulosclerosis
2. Focal necrotizing glomerulonephritis
3. Granulomas in the vascular wall
4. Granuloma of parenchyma of kidney

Correct answer: 2. Focal necrotizing glomerulonephritis

Explanation: Wegener's granulomatosis is a necro-inflammatory lesion having 4 components granulomas of the upper respiratory tract, granulomas of the lungs, systemic vasculitis (page 403) and focal necrotizing glomerulonephritis. Ref: Harsh Mohan textbook of pathology 6th edition page 495.